Volkmann's ischaemic contracture mostly involves
1. Felxor digitorum superficialis
2. Pronator teres
3. Flexor digitorum profundus
4. Flexor c arpi radialis longus

Correct answer: 3. Flexor digitorum profundus

Explanation: C i.e. Flexor digitorum profundus